A rabbit is injected for the first time with ova-albumin. The antibodies generated in this response would be of which class?
1. IgG
2. IgM
3. IgD
4. IgE

Correct answer: 2. IgM

Explanation: Primary immune response: The response that occurs after a harmful antigen has beenencountered for the first time. In this IgM are produced.Secondary immune response: Is a much quicker and more effective response that occurs after a previously encountered antigen reappears. In this IgG are produced.